Allthe following are primary support of the uterus except
1. Utero - sacral ligament
2. Pelvic floor
3. Broad ligament
4. Antiflexion

Correct answer: 3. Broad ligament

Explanation: Broad ligament